All are contents of occipital triangle except ?
1. Great auricular nerve
2. Suprascapular nerve
3. Lesser occipital nerve
4. Occipital artery

Correct answer: 2. Suprascapular nerve

Explanation: Ans. is 'b' i.e., Suprascapular nerve